Which of the following is NOT an eyelid gland?
1. Moll
2. Lacrimal gland
3. Meibomian
4. Zeis

Correct answer: 2. Lacrimal gland

Explanation: LID GLANDS(ZM2) gland ofZeis gland of Moll Meibomian gland Glands as a parts of conjuctival epithelium (non-keratinizing) Gland of Krause Gland of Wolfring Goblet cells gland of Henle gland of Manz